Dose of digoxin is NOT altered in :
1. Old age
2. Hepatic disease
3. Renal disease
4. Hypercalcemia

Correct answer: 2. Hepatic disease

Explanation: Ans. is 'b' Hepatic disease Make it clear once and for all that Digitalis is the parent compound. Digitalis is applied as a collective term for the whole group and has come to mean a cardiac glycoside.Digoxin and digitoxin are two of the many types of cardiac glycoside.Digoxin is a polar glycoside, and is excreted by kidney, does not undergo hepatic metabolism. So does need not be altered in hepatic disease.Digitoxin undergoes hepatic metabolism and its dose has to be altered in hepatic disease.